Wof drug is used for cervical priming to facilitate labour
1. Oxytocin
2. Progesterone
3. Prostaglandin E2
4. Clomiphene

Correct answer: 3. Prostaglandin E2

Explanation: Cervical priming (ripening) :- Low doses of PGE2 applied intravaginally or in the cervical canal, do not affect uterine motility, make the cervix soft and compliant. PGE2 (Dinoprostone) PROSTIN-E2 for induction/augmentation of labour. Ref:- kd tripathi;pg num:-189